Soap bubble appearance is seen in which meningo-encephalitis -
1. Cryptococcus
2. Mucormycosis
3. Tubercular
4. HSV

Correct answer: 1. Cryptococcus

Explanation: Ans. is 'a' i.e., CryptococcusSoap bubble appearance occurs in CNS cnptococosisCryptococcal meningitis in common in immunocompromised patientsIt typically results from hemotogenous spread from the lungs (which is usually the primary site).The disease can have either meningeal or parenchymal involvement with the former being the primary manifestation,o There are three dominant CNS forms of the disease which are :MeningitsCryptococcosisGelatinous pseudocy>stGelatinous pseudocvst tends to she "soap bubble annerance" on CT. scan